A ten-year old girl presents with swelling of one knee joint. All of the following conditions can be considered in the differential diagnosis, EXCEPT:
1. Tuberculosis
2. Juvenile rheumatoid arthritis
3. Haemophilia
4. Villonodular synovitis

Correct answer: 3. Haemophilia

Explanation: Hemophilia is an X-linked recessive hemorrhagic disease due to mutation in the F8 gene (Hemophilia A or Classic Hemophilia) or F9 gene (Hemophilia B). Males subjects are clinically affected; women who carry single mutated gene are generally asymptomatic. Ref: Kliegman, Behrman, Jenson, Stanton (2008), Chapter 476, "Hereditary Clotting Factor Deficiencies", In the book, "NELSON TEXTBOOK OF PEDIATRICS", Volume 2, 18th Edition, New Delhi, Page 2066; Harrison's Internal Medicine, 19th Edition, Page 975.